Rapid test for acute Pyogenic meningitis is:
1. CSF Pressure
2. Limulus assay
3. Latex agglutination
4. CSF analysis for Lymphocytes

Correct answer: 3. Latex agglutination

Explanation: Latex agglutination